Which of the following drug is avoided in patients with diabetes and can be used for treatment of insulinoma?
1. Nicorandil
2. Minoxidil
3. Hydralazine
4. Diazoxide

Correct answer: 4. Diazoxide

Explanation: Diazoxide - It decreases insulin --> causes hyperglycemia --> C/I in diabetics. - It is used in treatment of insulinoma. Minoxidil - Causes hair growth so it is contraindicated in young females - It is used in alopecia. Hydralazine -It is arteriodilator used in hypertension. Hydralazine- nitrate therapy are the only agents in current use that actuallyprolong life in patients with chronic heart failure. Nicorandil is a potassium channel opener. Used in angina, ischemia. S/E of nicoranidil: Palpitations, flushing.